The blood supply to inner ear is derived from:
1. Superior cerebellar artery
2. Posterior inferior cerebellar artery
3. Middle cerebral artery
4. Anterior inferior cerebellar artery

Correct answer: 4. Anterior inferior cerebellar artery

Explanation: D. i.e. Anterior inferior cerebellar arteryInternal ear derives its blood supply from labyrinthine (internal auditory) artery which is usually a branch of anterior inferior cerebellar artery or sometimes of basilar artery.